Lewis triple response is caused due to
1. Histamine
2. Axon reflex
3. Injury to endothelium
4. Increased permeability

Correct answer: 1. Histamine

Explanation: Ref Goodman and Gilman 10/e p650 With injection of histamine there is triple response Red spot Wheal Flare